True about screw feed technology
1. Waste is reduced by 80% in volume and by 20-35% in weight
2. Waste is reduced by 85% in volume and by 10-20% in weight
3. Wet thermal disinfection process
4. Used to process pathological waste

Correct answer: 1. Waste is reduced by 80% in volume and by 20-35% in weight

Explanation: Screw-feed technology is the basis of a non-burn, dry thermal disinfection process in which waste is shredded and heated in a rotating auger.The waste is reduced by 80 percent in volume and by 25-35 percent in weight.This process is suitable for treating infectious waste and sharps. Should not be used to process pathological, cytotoxic or radioactive waste.Park 23e pg: 792